The maxillary air sinus opens into middle meatus at:
1. Infundibulum
2. Summit of infundibulum
3. Bulla ethmoidalis
4. Hiatus semilunaris

Correct answer: 4. Hiatus semilunaris